What is TRUE about sinus venosus:
1. Forms rough wall of right atrium
2. Forms smooth wall of right atrium
3. Forms right coronary sinus
4. Forms left leaflet of coronary sinus

Correct answer: 2. Forms smooth wall of right atrium

Explanation: Sinus venosus is a paired structure but shifts towards right associating only with the right atrium as the embryonic heart develops. The left portion shrinks in size and eventually forms the coronary sinus and oblique vein of the left atrium, whereas the right part becomes incorporated into the right atrium to form the sinus venarum (smooth part of right atrium).